The most common cause for chronic cor pulmonale is
1. Recurrent pulmonary embolization
2. COPD
3. Cystic fibrosis
4. Bronchial Asthma

Correct answer: 2. COPD

Explanation: Answer is B (COPD): The most common cause of chronic cor puhnonale is chronic. obstructive pulmonary disease - Rubin's pathology